For assessment cardiovascular disease MONICA project is used What is it associated with
1. Risk factor intervention trials for CVD
2. Oslow diet / smoking intervention study
3. Monitoring of trends & determinants in cardiovascular disease
4. Lipid research clinics study

Correct answer: 3. Monitoring of trends & determinants in cardiovascular disease

Explanation: The MONICA study will involve measurement of: a. incidence rates b. case fatality c. risk-factor levels d. medical care ref : WHO AICLE ON MONICA PROJECT